Elimination of leprosy is defined as prevalance -
1. < 1 per 1000
2. < 1 per 10000
3. < I per 1 lakh
4. < I per 100

Correct answer: 2. < 1 per 10000

Explanation: Ans. is 'b' i.e., < 1 per 10000"As a result of the hard work and meticulously planned and executed activities, the country achieved the goal of elimination of leprosy s public health problem, defined as less than 1 case per 10000 population, at the National level in the month of December, 2005. As on 31st December 2005, prevalence rate recorded in the country was 0.95/10,000 population",